Mentzer index more than 13 suggests a diagnosis of
1. Iron deficiency anemia
2. Thalassemia
3. Hereditary Spherocytosis
4. Autoimmune Hemolytic Anemia

Correct answer: 1. Iron deficiency anemia

Explanation: Ans. is 'a' i.e., Iron deficiency Anemia Mentzer index more than 13 suggests a diagnosis of Iron-deficiency anemia. Mentzer index The Mentzer index is used to help in differentiating iron deficiency anemia from beta thalassemia. The index is calculated as the quotient of the mean corpuscular volume (MCV, in fL) divided by the red blood cell count (RBC, in millions per microleter). If the Mentzer index is less than 13, thallassemia is said to be more likely. If the Mentzer Index is greater than 13, Then iron-deficiency anemia is said to be more likely. Principle In iron deficiency, the marrow cannot produce as many RBCs and they are small (imcrocytic), so the RBC count and the MCV will both be low, and as a result, the index will be greater than 13. Conversely, in thalassemia, which is a disorder of globin synthesis, the number of RBCs produced is normal, but the cells are smaller and more fragile. Therefore, the RBC count is normal, but the MCV is low, so the index will be less than 13. In practice, the Mentzer index is not a reliable indicator and should not, by itself be used to differentiate the two conditions. Index Formula Value for iron deficiency anemia Value for iron thalassemia Mentzer index MC V/RBC count > 13 < 13 Shine and Lal index MCV2 x MCH x 0.01 > 1530 < 1530 England and Fraser index MCV - RBC - (5 x Hb) 5.19 > 0 < 0 Srivastava index MCH/RBC > 3.8 < 3.8 Green and king index MCV2 x RDW x Hb/100 > 65 < 65 Red cell distribution width index MCV x RDW/RBC > 220 < 220